An 18 year old boy while riding a motorbike without a helmet sustained a road traffic accident. He is brought to casualty and imaging studies done. He is diagnosed with left frontal skull fracture and cortical contusion. He has had no seizures and his GCS is 10. Antiepileptic drug therapy in this patient
1. Is contraindicated due to risk of rash
2. Indicated to reduce incidence of early onset post traumatic seizures
3. Is likely to cause increased cerebral edema
4. Indicated to reduce incidence of late onset post traumatic seizures

Correct answer: 2. Indicated to reduce incidence of early onset post traumatic seizures

Explanation: Prophylactic phenytoin reduces incidence of seizures after head injury, though there is no reduction in long term risk